All are oncogenic viruses except
1. HBV
2. HPV
3. EBV
4. VZV

Correct answer: 4. VZV

Explanation: Many viruses have been implicated in the causation of cancers:

A. RNA viruses

All oncogenic RNA viruses belong to family retroviridae (retroviruses).
Important examples are Avian leukosis virus, murine leukosis virus, murine mammary tumor virus, HIV (causing AIDS related malignancies) and Human-T-cell leukemia virus (causing Adult T-cell leukemia).

B. DNA viruses

DNA viruses causing cancers are:

1. Papillomaviridea (HPV): Causes genital tumors, SCC and oropharyngeal carcinoma.
2. Herpesviridae: These viruses are:
i. HSV-2: Causes cervical carcinoma.
ii. EBV: Causes nasopharyngeal carcinoma and Burkitt's lymphoma.
iii. HHV-8: It causes Kaposis sarcoma.
3. Hepadnaviridae (HBV): It causes hepatocellular carcinoma.
4. Flaviviridae (HCV) It causes hepatocellular carcinoma.